Diagnosis of Hodgkins disease is based on all of the following, except:
1. Reed- Sternberg cells
2. Reactive cellular background
3. Atypical cells in backgriound
4. CD 30 positivity

Correct answer: 3. Atypical cells in backgriound

Explanation: Answer is C (Atypical cells) Atypical cells may be seen in some variants of Hodgkin's disease but they are not required for the diagnosis of Hodgkin's disease